Monkey disease is also known as
1. Japanese Encephalitis
2. Kyasanur forest disease
3. Rickettsial Disease
4. Rabies

Correct answer: 2. Kyasanur forest disease